A mother comes with her 3 year old female child with complain of that child is not eating anything. Her weight is 11 kg (50th percentile) and height is 88 cm. (75th percentile). What should be done next?
1. Vitamin rich tonic to be given
2. Forceful eating
3. Nothing should be done actively and assure the parent
4. Complete investigation for UTI

Correct answer: 3. Nothing should be done actively and assure the parent

Explanation: Ans. is 'c' i.e., Nothing should be done actively and assure the parent "Allowable normal range of variation in observation, is conventionally taken between 3' and 97" percentile curves" - Ghai o This female child has weight (50 th percentile) and height (75th percentile) in normal range of variation (3rd-97th percentile). o So, nothing should be done actively and the parent should be assured that weight and height of the child are within normal range